A patient presents with enophthalmos after a trauma to face by blunt object. There is no fever or extraocular muscle palsy. Diagnosis is
1. Fracture maxilla
2. Fracture zygoma
3. Blowout fracture
4. Fracture ethmoid

Correct answer: 3. Blowout fracture

Explanation: Due to a trauma to face by a blunt object, an increased pressure may rupture the floor of the orbit and extrude the fat content of orbit, resulting in enophthalmos. Thus it is due to a 'blow-out fracture' or fracture of orbital floor Ref: Diseases of nose throat and ear; Logan Turner; 10th edition; pg no 27